All of the following drugs are known to worsen hyperkalemia except
1. Spironolactone
2. ACE inhibitors
3. Furosemide
4. Amiloride

Correct answer: 3. Furosemide

Explanation: Spironolactone and amiloride are potassium-sparing diuretics and worsen hyperkalemia Hyperkalemia is an adverse effect of ACE inhibitors With furosemide, potassium excretion is increased ref - HArrisons internal medicine 20e pg 118, 322, 348, 364, 376t, 824t